Beer's procedure
1. DPPHR
2. LRLPJ
3. Caudal pancreaticojejunostomy
4. Longitudinal section pancreaticojejunostomy

Correct answer: 1. DPPHR

Explanation: Resection Procedure in Chronic Pancreatitis It is believed that Inflammatory process in the pancreatic head controls both the severity of symptoms and further progression of disease in remainder of the gland Pancreatic head is pacemaker of chronic pancreatitis. Because of this resection of pancreatic head has been shown to completely relieve pain of chronic pancreatitis in 70-80% patients Distal pancreatectomy is the ideal procedure for patients whose chronic pancreatitis is confined to pancreatic tail Usually, distal pancreatectomy is combined with splenectomy for technical reasons, but spleen can be preserved if its vascular supply is secure Ref: Sabiston 20th edition Pgno :1535